A quack gives a penicillin injection to a patient who dies due to it. Will the quack be relieved for his criminal responsibility by raising a plea of the accident-
1. Definitely
2. Likely to
3. Never
4. Deserves to be acquitted on the Strength of evidence

Correct answer: 3. Never

Explanation: Most likely the patient has died due to hypersensitivity reaction to penicillin (anaphylaxis).
Before giving penicillin’s, sensitivity testing is indicated, which is not done by quack in this case. So he is responsible for criminal negligence.